Most common site for carcinoid tumor is?
1. Pituitary
2. Pancreas
3. Small intestine
4. Lungs

Correct answer: 3. Small intestine

Explanation: Ans. is 'c' i.e., Small intestine * Carcinoid tumors arise from the neuroendocrine cells (Argentaffin cells or Kulchitsky cells). The majority are found in GI tract, and more than 40% in small intestine (jejunum & ileum). The tracheobronchial tree and lungs are the next common sites involved.